What is the action of oxytocin in small doses, when used as intravenous infusion in a full term uterus?
1. Relaxes uterus
2. Induces uterine contractions
3. Causes cervical dilatation
4. All

Correct answer: 2. Induces uterine contractions

Explanation: Oxytocin increases the force and frequency of uterine contractions. With low doses, full relaxation occurs in between contractions. Ref.Essentials of medical pharmacology TD Tripathi 7th edition page no.329)